All have a significant role in the digestion of fat, except
1. Pancreatic lipase
2. Colipase
3. Lingual lipase
4. Bile salts

Correct answer: 3. Lingual lipase

Explanation: A lingual lipase is secreted by Ebner glands on the dorsal surface of the tongue in some species, and the stomach also secretes a lipase. They are of little quantitative significance for lipid digestion other than in the setting of pancreatic insufficiency, but they may generate free fatty acids that signal to most distal parts of the gastrointestinal tract. Reference: Ganong's review of Medical Physiology, 25th ed, Page: 481